lesion at spinal sensory nucleus of trigeminal nerve leads to loss of ?
1. touch
2. position sensation
3. contralateral pain
4. ipsilateral temperature

Correct answer: 4. ipsilateral temperature

Explanation: 3 parts of trigeminal nucleus : mesenchephelic sensory nucleus : position sense of eye , mandiblle, tongue main sensory nucleus= touch spinal sensory nucleus = pain temperature ipsilaterally ref : bd chaurasia